True about plummer vinson syndrome:
1. Web is M/C in lower esophagus
2. Web is M/C in Mid esophagus
3. Web is M/C in postcricoid region
4. It occurs due to abnormal vessels

Correct answer: 3. Web is M/C in postcricoid region

Explanation: Plummer-Vinson syndrome patients present with dysphagia due to web in the postcricoid region and due to incoordinated swallowing secondary to esophageal spasm